The following condition is not associated with an Anti-phopholipid syndrome :
1. Venous thrombosis
2. Recurrent foetal loss
3. Thrombocytosis
4. Neurological manifestations

Correct answer: 3. Thrombocytosis

Explanation: Answer is C (Thrombocytosis): A ntiphospholipid silirdrome is associated with thrombocopenia and not thrombocytosis. Common obstetric complications associated with antiphospholipid syndrome are: Recurrent fetal lossQ IUGRQ Pregnancy associated hypertensionQ Placental abruptionQ Recurrent thrombotic eventsQ ThrombocytopeniaQ (and not thrombocytosis).